Detoxification of Benzoic acid is chiefly done by?
1. Glucoronic acid
2. Glycine
3. Glutamine
4. Arginine

Correct answer: 2. Glycine

Explanation: ANSWER: (B) GlycineREF: Activation and Detoxification Enzymes: Functions and Implications by Chang-Hwei Chen Page 149Amino acid conjugation is an important pathway in the metabolism of carboxyl acid-containing foreign compounds, for instances, benzoic acid with glycine, pheny lace tic acid with glutamine, xanthurenic acid with serine, and 4-nitrobenzoic with arginine.Detoxification of benzoic acid administered to man and animal occurs chiefly through conjugation with glycine, thus forming hippuric acid, which is excreted in the urine.